A 60-year-old man, a heavy smoker, presents for advice to stop smoking. On physical examination, he is thin and has a ruddy complexion. He has a productive cough and a barrel-shaped chest. He sits leaning forward with his lips pursed to facilitate his breathing. A diagnosis of emphysema is made. Which of the following is the most likely histologic finding in the lungs?
1. Bronchial smooth muscle hypertrophy with proliferation of eosinophils
2. Diffuse alveolar damage with leakage of protein-rich fluid into alveolar spaces
3. Dilation of air spaces with destruction of alveolar walls
4. Hyperplasia of bronchial mucus-secreting submucosal glands

Correct answer: 3. Dilation of air spaces with destruction of alveolar walls

Explanation: Emphysema is an example of COPD. Due to the destruction of alveolar walls, a lack of elastic recoil causes air to become trapped in alveoli, and, thus, airflow obstruction occurs on expiration. In COPD, FEV1 is decreased, whereas FVC is normal or increased; therefore, patients with COPD have a decreased FEV1 :FVC ratio.